Trapezius is attached to all structures except -
1. First rib
2. Clavicle
3. Scapula
4. Occiput

Correct answer: 1. First rib

Explanation: Trapezius originates from the occiput and inserts onto clavicle and scapula.